From which of the following routes absorption of local anaesthetic is maximum?
1. Intercostal
2. Epidural
3. Brachial
4. Caudal

Correct answer: 1. Intercostal

Explanation: Ans. is 'a' i.e., Intercostal According to miller "The greater the blood supply to the area injected, the greater is the systemic absorptionSites of absorption from greatest to least include:-Intrapleural > intercostal > pudendal > caudal > epidural > brachial plexus > infiltration.